Hyperkalemia is associated with
1. ACE inhibitor
2. Chlorthalidone
3. Amphotericin B
4. Amiodarone

Correct answer: 1. ACE inhibitor

Explanation: Refer Harrison 17e 281 ACE inhibitor can cause hyperkalemia whereas amphotericin B and Thiazide (chlorthalidone) cause hypokalemia